Average weigth of fetal lung after respiration is
1. 30-40gm
2. 40-50 gm
3. 60-70 gm
4. 90-100gm

Correct answer: 3. 60-70 gm

Explanation: Foder's test The weight of the respired lung will be twice the weight of unrespired lung. This is due to the increased blood flow to the lung. This is not a conclusive evidence of establishment of respiration. Average weight of fetal lung is 30-40gm before establishment of respiration and will become 60-70gm after respiration. Ref: FORENSIC MEDICINE AND TOXICOLOGY Dr PC IGNATIUS THIRD EDITION PAGE 348